The following structures related to left kidney are separated from it by peritoneum EXCEPT
1. Stomach
2. Spleen
3. Jejunum
4. Pancreas

Correct answer: 4. Pancreas

Explanation: Ans. d (Pancreas)RELATIONS OF KIDNEYA. Anterior relations of kidneys On each side, peritoneum of posterior abdominal wall lies in contact with certain areas of kidney, while in other areas intervening structures force it away from kidney. Peritoneum does not intervene between left kidney and pancreas.B. Posterior relations of both kidneys in common are diaphragm, quadratus lumborum, psoas, and transverse abdominis. The costodiaphragmatic recess of pleura is the most vital of all posterior relations and at risk to damage in lumbar approach.Intervening structures AreasRight kidneyLeft kidney1HilumSecond part of duodenumTail of pancreas2Lateral part of lower poleHepatic flexureSplenic flexure3Medial part of lower poleJejunum and ascending branch of right colic arteryJejunum and left colic artery4Upper partUnder surface of liver, hepato renal pouch and adrenalsStomach bed, i.e., adrenals, spleen & pancreas (without intervening peritoneum).